Which of the following is the aetiological agent most often associated with Epiglottitis in children
1. Streptococcus pneumonia
2. Haemophilus influenza type b
3. Neisseria species
4. Moraxella catarrhalis

Correct answer: 2. Haemophilus influenza type b

Explanation: It is a serious condition and affects children of 2-7 years of age but can also affect adults. H. influenzae B is the most common organism responsible for this condition in children. Ref: PL Dhingra 7th edition of Ear, Nose and Throat; Pg no 327